The Modern Stethoscope was invented by
1. Rene Laennec
2. Golding Bird
3. Arthur Leared
4. George Phillip Cammann

Correct answer: 4. George Phillip Cammann

Explanation: (D) George Phillip Cammann# Stethoscope was invented in France in 1816 by Rene Laennec at the Necker-Enfants Malades Hospital in Paris. It consisted of a wooden tube and was monaural.> In 1840, Golding Bird described a stethoscope he had been using with a flexible tube.> Irish physician Arthur Leared invented a binaural stethoscope.> The modern binaural Stethoscope was invented by the American physician George Philip Cammann in 1852.> George Cammann perfected the design of the instrument for commercial production, which has become the standard ever since.> Cammann also wrote a major treatise on diagnosis by auscultation, which the refined binaural stethoscope made possible.